The overall effect of HIV is to gradually impair the immune system by interference with
1. Helper T lymphocytes
2. Natural killer cells
3. Plasma cells
4. Macrophages

Correct answer: 1. Helper T lymphocytes